Principle of confidentiality is not applicable in?
1. Group discussion
2. Parents
3. Spouse
4. Criminal case

Correct answer: 4. Criminal case

Explanation: Ans. is 'd' i.e., Criminal case Ref Reddy 30th le p. 29-31]Professional secrecy is an implied ethical and legal obligation (or contract), that the doctor will not divulge any thing he comes to know concerning patient during the course of his professional work.